Subterminal spores are found in-
1. Clostridium sordelli
2. Clostridium sporogenes
3. Clostridium difficile
4. All

Correct answer: 4. All

Explanation: Ans. is 'a' i.e., Clostridium sordelli; 'b' i.e., Clostridium sporogenes; 'c' i.e., Clostridium difficile